Flabby white lesions occur bilaterally on buccal mucosa
of a five-year-old child. The Lesions are a symptomatic
the child's mother says this condition is seen in few
other members of the family. The lesions are most likely:
1. Leukoplakia
2. Lichen planus
3. Submucous fibrosis
4. White sponge nerves

Correct answer: 4. White sponge nerves